Which of the following is a criteria for clinical Stage II of AIDS in children?
1. Lymphadenopathy
2. Oral candidiasis
3. Hepatosplenomegaly
4. Oesophageal candidiasis

Correct answer: 3. Hepatosplenomegaly

Explanation: Ans. is 'c' i.e., Hepatosplenomegaly Revised WHO clinical staging of HIV/AIDS for infants and childrenClinical Stage 1* Asymptomatic* Persistent generalized LymphadenopathyClinical Stage 2* Hepatosplenomegaly* Papular pruritic eruptions* Seborrhoeic dermatitis* Extensive human papilloma virus infection* Extensive molluscum contagiosum* Fungal nail infections* Recurrent oral ulcerations* Lineal gingival erythema (LGE)* Angular cheilitis* Parotid enlargement* Herpes zoster* Recurrent or chronic RTIs (otitis media, otorrhoea, sinusitis)Clinical Stage 3* Moderate unexplained malnutrition not adequately responding to standard therapy* Unexplained persistent diarrhoea (14 days or more)* Unexplained persistent fever (intermittent or constant, for longer than one month)* Oral candidiasis (outside neonatal period)* Oral hairy leukoplakia* Acute necrotizing ulcerative gingivitis/periodontitis* Pulmonary TB* Severe recurrent presumed bacterial pneumonia Conditions where con?rmatory diagnostic testing is necessary* Chronic HIV-associated lung disease including brochiectasis* Lymphoid interstitial pneumonitis (LIP)* Unexplained anaemia (<8g/dl), and or neutropenia (< 1000/mm3) and or thrombocytopenia (<50 000/ mm3) for more than one monthClinical Stage 4* Unexplained severe wasting or severe malnutrition not adequately responding to standard therapy* Pneumocystis pneumonia* Recurrent severe presumed bacterial infections (e.g. empyema, pyomyositis, bone or joint infection, meningitis, but excluding pneumonia).* Chronic herpes simplex infection; (orolabial or cutaneous of more than one month's duration)* Extrapulmonary TB* Kaposi's sarcoma* Oesophageal candidiasis* CNS toxoplasmosis (outside the neonatal period)* HIV encephalopathy* Conditions where confirmatory diagnostic testing is necessary* CMV infection (CMV retinitis or infection of organs other than liver, spleen or lymph nodes; onset at age one month or more)* Extrapulmonary cryptococcosis including meningitis* Any disseminated endemic mycosis (e.g. extrapulmonary histoplasmosis, coccidiomycosis, penicilliosis)* Cryptosporidiosis* Isosporiasis* Disseminated non-tuberculous mycobacteria infection* Candida of trachea, bronchi or lungs* Visceral herpes simplex infection* Acquired HIV associated rectal fistula* Cerebral or B cell non-Hodgkin lymphoma* Progressive multifocal leukoencephalopathy (PML)* HIV-associated cardiomyopathy or HIV-associated nephropathy